A 52-year-old woman comes to the physician because of palpitations, sweating, and heat intolerance. Physical examination shows a palpable mass over the anterior aspect of the neck. 
Which of the following features is most associated with this condition?
1. Constipation
2. Elevated thyroid stimulating (TSH)
3. Ophthalmoplegia
4. Slow relaxing reflexes

Correct answer: 3. Ophthalmoplegia